Parasympathetic fibre arise from all the following cranial nerve except
1. Abducent
2. Oculomotor
3. Vagus
4. Glossopharyngeal

Correct answer: 1. Abducent

Explanation: The parasympathetic nerves supply the visceral structures in the head the occulomotor ,facial and glossopharyngeal nerves and those in the thorax and upper abdomen vagus nerves. The sacral outflow supplies the pelvic viscera branches of 2nd to 4th sacral spinal nerves. Ref: Ganongs review of medical physiology; 23rd edition ; pg :265.